Peginesatide is
1. IL - 11 analogue
2. Erythropoietin receptor agonist
3. G - CSF analogue
4. GM - CSF analogue

Correct answer: 2. Erythropoietin receptor agonist